Auditory fatigue is at ?
1. 90 dB 4000 Hz
2. 110 dB 4000 Hz
3. 130 dB 4000 Hz
4. 150 db 4000 Hz

Correct answer: 1. 90 dB 4000 Hz

Explanation: Ans. is 'a' i.e., 90 dB 4000 Hz